Oral malodor is detected by
1. Gas chromatography
2. Gas Laser
3. Perio-tron
4. Perio-scan

Correct answer: 1. Gas chromatography